Anti tobacco day is:
1. 1May
2. 15-May
3. 25-May
4. 31-May

Correct answer: 4. 31-May

Explanation: Ans. D: 31st May World No Tobacco Day is observed around the world every year on May 31. It is meant to encourage a 24-hour period of abstinence from all forms of tobacco consumption across the globe.